Kaposi's sarcoma is a tumour of:
1. Blood vessels
2. Reticuloendothetial system
3. Striated muscles
4. Smooth muscles

Correct answer: 1. Blood vessels